Mutation not seen in diffuse type of gastric cancer?
1. E-cadherin
2. APC
3. p16
4. p53

Correct answer: 2. APC

Explanation: Hereditary diffuse gastric cancer is an inherited form of gastric cancer. Patients with this disorder, resulting from a gene mutation for the cell adhesion molecule E-cadherin, have an 80% lifetime incidence of developing gastric cancer. Inactivation of the tumor suppressor genes p53 and p16 has been reported in diffuse and intestinal-type cancers. Adenomatous polyposis coli gene mutations tend to be more frequent in intestinal-type gastric cancers. Sabiston 20e pg: 1240.